The rare earth elements used in intensifying screens which emit green light are:
1. Yttrium tantalite, niobium activated
2. Gadolinium oxysulfide, terbium activated
3. Yttrium tantalite, terbium activated
4. Gadolinium oxysulfide, niobium activated

Correct answer: 2. Gadolinium oxysulfide, terbium activated